An anxiolytic benzodiazepine that has additional antidepressant property is
1. Alprazolam
2. Oxazepam
3. Lorazepam
4. Chlordiazepoxide

Correct answer: 1. Alprazolam

Explanation: Anti-anxiety benzodiazepines are D: Diazepam O: Oxazepam C: Chlordiazepoxide L: Lorazepam A: Alprazolam -- Chlordiazepoxide is benzodiazepine of choice for alcohol withdrawal. -- Lorazepam has high risk of causing amnesia. It is the only benzodiazepine recommended by intramuscular route. -- Alprazolam has additional mood elevating action. It is particularly useful in anxiety associated with depression.